'Sterile needle test' helps in differentiating ?
1. Healing proces
2. Depth of burns
3. Degenerative process
4. Infection

Correct answer: 2. Depth of burns

Explanation: Ans. is 'b' i.e., Depth of burns